Which cells line the collecting ducts ?
1. Simple cuboidal
2. Simple squamous
3. Simple columnar
4. Transitional

Correct answer: 1. Simple cuboidal

Explanation: Collecting ducts are lined with cuboidal epithelium containing two cell types: the principal cells and intercalated cells. The intercalated cells are scattered in the epithelium and participate in acid-base homeostasis. Type A intercalated cells are specialized for proton secretion. A defect of the type A cell leads to distal renal tubular acidosis. Type B intercalated cells secrete bicarbonate. Most cells of the epithelium are principal cells, which regulate the sodium and potassium concentrations under control of aldosterone and ADH. ref - BDC 6e vol2 pg317